Tetralogy of Fallot's present with one of the following?
1. Cenral cyanosis with clubbing
2. Cardiomegaly
3. Left ventricular hypertrophy
4. Normal ECG and Chest x-ray

Correct answer: 1. Cenral cyanosis with clubbing

Explanation: Ans. is 'a' i.e., Central cyanosis with clubbing Clinical features of TOF : o Dysnea on exertion and exercise intolerance Most common. o Cyanosis usually presents after neonatal period o Hypoxemic or cyanotic spells (Tet spells) o Commonest congenital lesion with which squatting is used o Clubbing o Ausculatory findings : S1 --> Normal S2 --> Single predominantly Aortic Murmur --> Ejection systolic o TOF patients are RARELY CYANOTIC AT BIRTH* Chest x-ray Normal heart size Oligaemic lung fields Right aortic arch present in 25% case o ECG --> Right axis deviation, Inverted Twave, `P' pulmonale About option 'b' o Pulmonary stenosis causes pressure oveload --> Concentric right ventricular hypertrophy without cardiac enlargement.